Which of the following is not an indication for keratoplasty
1. Pseudophakic bullous keratopathy
2. Keratoconus
3. Corneal dystrophies
4. None

Correct answer: 4. None

Explanation: Common indications for keratoplasty are aphakic or pseudophakic bullous keratopathy, Fuchs dystrophy, corneal scar, keratoconus, and corneal dystrophies. Corneal transplantation, also known as corneal grafting, is a surgical procedure where a damaged or diseased cornea is replaced by donated corneal tissue. When the entire cornea is replaced it is known as penetrating keratoplasty and when only part of the cornea is replaced it is known as lamellar keratoplasty. Reference: Aravind FAQS in Ophthalmology; First Edition; Page no: 125